A patient got exposed to Hepatitis B infection. Which of the following markers will always be present in the patient even he becomes chronic or recurrent?
1. Hbs Ag
2. Anti HBs Ab
3. Hbc AB
4. Hbe Ag

Correct answer: 3. Hbc AB

Explanation: Ans. (c) Hbc ABRef: Ananthanarayan and Paniker's Textbook of Microbiology - 10th ed - page 550* HbcAg - cannot be demonstrable in blood* The earliest antibody marker to be identified is Anti HbcAg -IgM* After six months IgG starts appearing* Question dint mention IgM or IgG (hence that's the answer)HBs AgHBe AgAnti HBcAnti HBsAnti HBeInterpretation++IgM--Acute HBV infection; highly infectious++IgG--Late/chronic HBV infection or carrier state; highly infectious+-IgG-+/-Late/Chronic HBV infection or carrier state; low infectivity-+/-IgM-+/-Seen rarely in early acute HBV infection; infectious--IgG+/-+/-Remote HBV infection; infectivity nil or very low---+-Immunity following HBV vaccine